impaired function of aquorporin results in
1. Nephrogenic DI
2. Liddle syndrome
3. Cystic fibrosis
4. Barter Syndrome

Correct answer: 1. Nephrogenic DI

Explanation: ref : harrisons 21st ed